In shigella dysentry associated Hemolytic Uremic syndrome, the false statement is
1. Leucocytosis
2. Neurological abnormalities
3. Hepatic Failure
4. Thrombatic Angiopathy

Correct answer: 3. Hepatic Failure

Explanation: Hemolytic uremic syndrome (HUS) is a well-described process that is known to cause severe renal dysfunction, thrombocytopenia, and anemia. HUS is typically associated with toxins (shiga-like and shigella toxin) found in strains of E. coli and Shigella spp . Haemolytic uraemic syndrome (HUS), which is comprised of the triad of haemolytic anemia, thrombocytopenia and renal insufficiency, occurs in about 13% of dysenteric patients with shigellosis due to Shigella dysenteriae type 1 (SD1) infections, who are mostly children less than five years old. HUS is most common in children. It is the most common cause of acute kidney failure in children. Several large outbreaks have been linked to undercooked hamburger meat contaminated with E coli. Symptoms STEC-HUS often begins with vomiting and diarrhea, which may be bloody. Within a week, the person may become weak and irritable. People with this condition may urinate less than normal. Urine output may almost stop. Red blood cell destruction leads to symptoms of Irritability Reference: GHAI Essential pediatrics, 8th edition